Mental retardation is defined if IQ is below -
1. 90
2. 80
3. 70
4. 60

Correct answer: 3. 70

Explanation: Ans. is 'c' i.e., 70 * A child with IQ < 70 is called mentally retarded.* The WHO classification of mental retardation is based on the concept of IQ and includes the following categories:CategoryIQMild50-70Moderate35-49Severe20-34Profound<20* A child with IQ < 70 is called mentally retarded.